Increased BP & decreased heart rate is seen in
1. Hemorrhage
2. High altitude
3. Raised intracranial pressure
4. Anemia

Correct answer: 3. Raised intracranial pressure

Explanation: Cushings reflex is a special type of CNS ischemic response. The cause is raised intracranial tension. When blood flow to the VMC is decreased., it suffers from ischemia. The VMC is stimulated leading to vasoconstriction and increase in BP. There is simultaneous stimulation of cardioinhibitory center by sinoaortic reflex mechanism. ie REFLEX hypertension is associated with bradycardia. Ref: Textbook of medical physiology by N Geetha, 2nd edition, page no. 164